Basophillic leucocytosis occurs in --
1. AML
2. ALL
3. CML
4. CLL

Correct answer: 3. CML

Explanation: Basophil leukocytosis or basophilia refers to an increase in the number of basophilic leucocytes above 100 per microlitre.Seen in CML, POLYCYTHEMIA VERA, MYELOSCLEROSIS,MYXOEDEMA,ULCERATIVE COLITIS,FOLLOWING SPLENECTOMY, HODGKIN'S DISEASE, UICARIA PIGMENTOSA. Reference; Harsh Mohan textbook of pathology, 7th edition.Pg no.329